All of the following are features of De quervain thyroiditis except:
1. In early phase follicles are disrupted and replaced by neutrophils forming microabscesses
2. Inflammatory infiltrate composed of lymphocyte, plasma cell, macrophages with granuloma formation
3. Bacterial infection is a trigger in most patients
4. It is the most common cause of painful thyroid

Correct answer: 3. Bacterial infection is a trigger in most patients

Explanation: Subacute Granulomatous (de Quervain) thyroiditis: - Self-limited disease, probably secondary to viral infection & is characterized by presence of painful & granulomatous inflammation in thyroid. - It is MCC of tender thyroid - Lab findings : increased serum T4, decreased TSH, decreased radioiodine uptake - Early stages of De Quervain thyroiditis shows - micro abscesses formation - Late stages - granuloma formation - Rx - NSAID's